All of the following can lead to increased Intra cranial pressure accept -
1. Meningitis
2. Subarachnoid Hemorrhage
3. Subdural hemorrhage
4. Migraine

Correct answer: 4. Migraine

Explanation: Answer-D. MigraineCommon causes include-Aneurysm rupture and subarachnoid hemorrhageBrain tumorEncephalitisHead injuryHydrocephalus (increased fluid around the brain)Hypertensive brain hemorrhageIntraventricularhemorrhageMeningitisSubdural hematomaStatus epilepticusStroke